A 25 Yr old lady presents with spontaneous nipple discharge of 3 months duration. On examination the discharge is bloody and from a single duct. The following statements about management of this patient are true except
1. Ultrasound can be useful investigation
2. Radical duct excision is the operation of choice
3. Galactogram, though useful is not essential
4. Majority of blood stained nipple discharges are due to papilloma or other benign condition

Correct answer: 2. Radical duct excision is the operation of choice

Explanation: Treatment Treatment must firstly be to exclude a carcinoma by occult blood test and cytology. Simple reassurance may then be sufficient but, if the discharge is proving intolerable, an operation to remove the affected duct or ducts can be performed (micro-dochectomy). Ref: Bailey and love 27th edition Pg no : 865